Vitamin synthesised from amino acid is
1. Thiamine
2. Ribolflavin
3. Biotin
4. Niacin

Correct answer: 4. Niacin

Explanation: Vitamin synthesized from amino acid niacin.Niacin, or nicotinic acid, is a substituted pyridine derivative. The biologically active coenzyme forms are nicotinamide adenine dinucleotide (NAD+) and its phosphorylated derivative, nicotinamide adenine dinucleotide phosphate.Reference: Lippincott Textbook of Biochemistry, fifth edition, pg no. 379